Posterior dislocation of hip is characterized by -
1. Marked shortening of limb
2. Lengthening of limb
3. No change in limb length
4. Extension deformity

Correct answer: 1. Marked shortening of limb

Explanation: Ans. is 'a' i.e., Marked shortening of limb o There is typical deformity' offlexion, adduction, and internal rotation with marked shortening of limb.Hip conditionDeformitySynovitisFlexion, abduction, external rotation, apparent lengtheningArthritisFlexion, adduction, internal rotation, true shorteningPosterior dislocationFlexion, adduction, internal rotation, apparent & true shorteningAnterior dislocationFlexion, abduction, external rotation, true lengtheningFemoral neck fractureExternal rotation, later adduction & flexionIntertrochantric fractureMarked external rotation, later adduction & flexion